Peliosis hepatis is most likely to seen with which of the following medications
1. Oral contraceptives
2. Cotrimoxazole
3. Streptomycin
4. Anabolic steroids

Correct answer: 4. Anabolic steroids

Explanation: Anabolic steroids usually cause peliosis hepatis.
Peliosis hepatis - blood filled lesions in the liver.